Which of the following immunosuppresive agents have a side effect of osteoporosis?
1. Cyclophosphamide
2. Methotrexate
3. Glucocorticoids
4. Mycophenolate mofetil

Correct answer: 3. Glucocorticoids

Explanation: Side effects of common Immuno-Suppresants are given below: Cyclophosphamide: Leucopenia or neutropenia, infections (usually respiratory and urinary tract), infertility, cancer (especially bladder cancer and leukaemia), haemorrhagic cystitis, alopecia, and amenorrhoea Glucocorticoids: Osteoporosis, candida infection (oral and vaginal), other infections, weight gain, hyperglycaemia or diabetes, hypertension, cushingoid appearance, skin atrophy, and cataract Azathioprine: Nausea, leucopenia or neutropenia, infection, hypersensitivity, cancer, alopecia, cholestasis, and thrombocytopenia Methotrexate: Nausea, oral ulcers, liver dysfunction, infection, hypertension, leucopenia Mycophenolate mofetil: infection, leucopenia, gastrointestinal tract manifestations, anaemia, thrombocytopenia Rituximab: Infections (encephalitis is particularly dangerous), cancer, anaemia, neutropenia, thrombocytopenia, hypogammaglobulinaemia Ref: Diagnosis and management of ANCA associated vasculitis ; BMJ 2012;344:e26